Periampullay carcinoma feature is -
1. Early jaundice
2. Late jaundice
3. Hemolytic jaundice
4. No jaundice

Correct answer: 1. Early jaundice

Explanation: Ans. is 'a' i.e., Early jaundice